The patient receives a score of 8 on her biophysical profile. The results are
1. The results are equivocal, and she should have a repeat BPP within 24 h
2. The results are abnormal, and she should be induced
3. The results are normal
4. The results are abnormal, and she should undergo emergent cesarean section

Correct answer: 3. The results are normal

Explanation: A BPP score of 8 or 10 is normal.A score of 0 to 2 dictates imminent delivery because fetal asphyxia is probable.Scores of 4 to 6 require repeat testing and delivery if persistent.